Beta agonist which is used for stopping premature labor is:
1. Carvedilol
2. Terbutaline
3. Pindolol
4. Nadolol

Correct answer: 2. Terbutaline